The presentation of Asherman syndrome typically involves
1. Hypomenorrhea
2. Oligomenorrhea
3. Menorrhagia
4. Metrorrhagia

Correct answer: 1. Hypomenorrhea

Explanation: Ovulation is not affected in Asherman syndrome. Because of the decreased amount of functional endometrium, progressive hypomenorrhea (lighter menstrual flow) or amenorrhea is common. The best diagnostic study is the hysterosalpingogram under fluoroscopy. Hysteroscopy with lysis of adhesions is the treatment of choice. Prophylactic antibiotics may improve success rates.